HLA-A29 is associated with
1. Serpiginous geographical choroidopathy
2. Bird shot retinochoroidopathy
3. Sympathetic ophthalmitis
4. Acute posterior multifocal placoid pigment epitheliopathy

Correct answer: 2. Bird shot retinochoroidopathy

Explanation: BIRD-SHOT RETINOCHOROIDOPATHY It is a rare, idiopathic, bilaterally symmetrical chronic multifocal chorioretinitis characterised by numerous flat creamy-yellow spots due to focal chorioretinal hypopigmentation, resembling the pattern of 'bird- shot scatter from a shotgun'. The disease, more common in females than males, typically affects middle-aged healthy persons who are positive for HLA-A29. It runs a long chronic course of several years. Treatment with corticosteroids is usually not effective. Ref:- A K KHURANA; pg num:-161